Five-day self subsiding pain is diagnostic of -
1. Anal fissure
2. Fistul-in-ano
3. Thrombosed external hemorrhoids
4. Thrombosed internal hemorrhoids

Correct answer: 3. Thrombosed external hemorrhoids